Kidney is covered by what fascia?
1. Sibson's fascia
2. Buck's Fascia
3. Gerota's Fascia
4. None

Correct answer: 3. Gerota's Fascia

Explanation: Ans. is 'c' i.e., Gerota's Fascia Renal fascia* There are four coverings around the kidney (from within outwords)i) True capsule (fibrous capsule)# It is formed by the condensation of fibrous stroma of kidney.ii) Perinephric fat (adipose capsule)# It occupies the interval between the fibrous capsule and renal fascia (false capsule or fascia of Gerata). This space (occupying perinephric fat) is called space of Gerota.iii) False capsule (renal fascia or fascia of Gerota)# It is formed by condensation of extra-peritoneal connective tissue around kidney and is continuous laterally with fascia transversalis. False capsule consists of two layers : anterior "fascia of Toldt" and posterior "fascia of Zuckerkendl".iv) Paranephric fat# It occupies the interval between the renal fascia and anterior layer of thoracolumbar fascia.